Flooding is a treatment modality used in
1. Phobia
2. Depression
3. Mania
4. Schizophrenia

Correct answer: 1. Phobia

Explanation: Phobia is treated by behaviour therapy. If properly planned, this mode of treatment is usually successful. Important techniques are flooding, systemic desensitisation, exposure and response prevention, relaxation technique (Ref: a short textbook of psychiatry, Niraj Ahuja, 7th edition, pg no.94)